Increase in temperature during first 2 hours after death is due to -
1. Massive hemorrhage
2. Cyanide poisoning
3. Organophosphorus poisoning
4. Septicemia

Correct answer: 4. Septicemia

Explanation: Ans. is 'd' i.e.,septicemia Postmortem caloricity is seen in :?Due to disturbed heat regulation : Sun-stroke (heat stroke), pontine hemorrhage.Due to heat production by muscular activity : Tetanus, strychnine poisoning, asphyxial death.Acute bacterial or viral infections : Pneumonia, septicemia, liver abscess, peritonitis, typhoid, nephritis, meningitis, cholera etc.Very high atmosphere temperature.